Ductus arteriosus closes in response to ?
1. Decrease in peripheral oxygen saturation
2. Indomethacin therapy
3. Prostaglandin El
4. Increase in pulmonary vascular resistance

Correct answer: 2. Indomethacin therapy

Explanation: Ans. is b' i.e., Indomethacin therapy